A persistent left superior vena cava usually drains into
1. Right atrium
2. Inferior vena cava
3. Coronary sinus
4. Right superior vena cava

Correct answer: 3. Coronary sinus

Explanation: Persistent left superior vena cava (PLSVC) is the most common thoracic venous anomaly. Autopsy studies in unselected patients have shown that the frequency of PLSVC is 0.3%. This anomaly is frequently observed in patients with congenital heart disease and has occasionally been reported in patients without evidence of other congenital abnormalities.1, 2 Persistent left superior vena cava is the result of a persistent patency of an embryological vessel (left anterior cardinal vein) that is present during the early developmental period. It usually drains into the right atrium through a dilated coronary sinus.3, 4 However, in some cases, it may drain directly into the left atrium producing a right-to-left shunt,5, 6 or directly into the right atrium. In most of these cases the right superior vena cava may be present and may or may not communicate with the left superior vena cava.7 Persistent left superior vena cava is generally discovered fortuitously without clinical signs.